Suprasellar calcification is characteristic of:
1. Toxoplasmosis, CMV, Cysticercosis
2. Medulloblastoma
3. Craniopharyngioma
4. Meningioma

Correct answer: 3. Craniopharyngioma

Explanation: C i.e. Craniopharyngioma